. A girl presents with; primary amenorrhea; grade V thelarche, grade II pubarche; no axillary hair; likely diagnosis is:
1. Testicular feminisation syndrome
2. Mullerian agenesis
3. Turners syndrome
4. Gonadal dysgenesis

Correct answer: 1. Testicular feminisation syndrome